All the following drugs agent by intracellular receptors except
1. Thyroid hormones
2. Vitamin D
3. Insulin
4. Steroids

Correct answer: 3. Insulin

Explanation: Intracellular receptors are receptors located inside the cell rather than on its cell membrane. Insulin is not an intracellular receptors Ref-Katzung 11/e p730